Localised regional cerebral atrophy is seen in -
1. Alzheimer's disease
2. Frontotemporal dementia
3. C.J. disease
4. Friedreich's ataxin

Correct answer: 2. Frontotemporal dementia